Nitroglycerine is effective when administered sublingually because it is:
1. Non ionized and lipid soluble
2. Ionized and lipid soluble
3. Non ionized and Water insoluble
4. Ionized and water insoluble

Correct answer: 1. Non ionized and lipid soluble

Explanation: Ans. (A) Non ionized and lipid soluble(Ref: KDT 8th/e p28)Nitroglycerin is effective when retained sublingually because it is non-ionized and has very high lipid solubility. Thus, the drug is absorbed very rapidly.